If a third molar is absent and not to be replaced
1. It is not considered in the classification of partial dentures
2. It may or may not be considered
3. It is considered important for classification
4. None applies

Correct answer: 1. It is not considered in the classification of partial dentures